The most common cyst of the oral region is:
1. Dentigerous cyst
2. Keratosis cyst
3. Dermoid cyst
4. Periapical cyst

Correct answer: 4. Periapical cyst

Explanation: Periapical Cyst (Radiocular Cyst) MC type of jaw cystQ Inflammatory in origin. Extremely common lesions found at the apex of teethQ. Develop as a result of long-standing pulpitis, caused by advanced carious lesions or by trauma to the tooth. Periapical inflammatory lesions persist as a result of the continued presence of bacteria or other offensive agents in the area. Treatment: Complete removal of offending material and appropriate restoration of the tooth or extraction.